All of the following drugs intensify gastrointestinal motility Except
1. Papaverine
2. Metoclopramide
3. Domperidone
4. Cisapride

Correct answer: 1. Papaverine

Explanation: Papaverine an opioid decreases motility Prokinetic drugs are 5-HT3 antagonists (granisetron, ondansetron, and tropisetron), 5-HT 4 -receptor agonists (Cisapride, Mosapride, Tegaserod), D 2 -receptor antagonists (Metoclopramide and domperidone), Cholinomimetic agonists (bethanechol, Neostigmine) Ref:Katzung 13th edition pg 531